A person was brought to the emergency with a history of something stuck in his throat during his dinner which progressed to dyspnea, the probable diagnosis is:
1. Myocardial infarction
2. Choking
3. Pulmonary embolism
4. Aortic dissection

Correct answer: 2. Choking

Explanation: Suffocation deaths: SmotheringQ Occlusion of external air passagesQby hand, pillow, plastic bag etc ChokingQ Occlusion of internal air passagesQby foreign body, food particles etc